Long acting dopamine agonist is:
1. Bromocriptine
2. Lisuride
3. Cabergoline
4. Apomorphine

Correct answer: 3. Cabergoline